As per the National Population Policy 2000, the medium-term objective is to bring the total Fertility rate to replacement level by which year ?
1. 2008
2. 2010
3. 2012
4. 2014

Correct answer: 2. 2010

Explanation: Ans. is 'b' i.e., 2010